Eruption fails in this bone disease, as there is no bone resorption
1. Primary hyperparathyroidism
2. Phantom bone disease
3. Paget's disease
4. Osteopetrosis

Correct answer: 4. Osteopetrosis